Vocal cords are supplied by?
1. External laryngeal nerve
2. Internal laryngeal nerve
3. Recurrent laryngeal nerve
4. Vagus nerve

Correct answer: 3. Recurrent laryngeal nerve

Explanation: Ans. c (Recurrent laryngeal nerve). (Ref. BD Chaurasia, Anatomy, 3rd vol., 3rd ed., 61)# The internal laryngeal nerve supplies the mucous membrane of larynx above the level of vocal folds.# The recurrent laryngeal nerve supplies below the level of vocal cords.# When both recurrent laryngeal nerves are interrupted, vocal folds lie in cadaveric position and phonation is lost completely.# When only recurrent laryngeal is paralysed, opposite vocal cord compensates and phonation is possible.